The MTP act defines the following -
1. Who should do termination of pregnancy
2. Where it should be done
3. When it should be done
4. All of the above

Correct answer: 4. All of the above

Explanation: Ans. is 'd' i.e., All of the above Medical termination of pregnancy act (1971) o The MTP act, 1971 lays down ? 1. The conditions under which a pregnancy can be terminated. 2. The person or persons who can perform such terminations. 3. The place where such terminations can be performed.